Keshan's disease is due to deficiency of:
1. Selenium
2. Zinc
3. Copper
4. Iron

Correct answer: 1. Selenium

Explanation: Keshan's Disease Deficiency of Selenium (Se) Affects: Children Women of child bearing age CLINICAL FEATURES: Cardiomyopathy Muscle weakness Hypothyroidism Eczema Increased risk of stroke Hypertension Cancer Selenium Sources- seafood and meat, nuts Deficiency - Keshan's disease Toxicity - Selenium toxicity lead to Selenosis